Which of the following represent the mechanism of action of tetracycline?
1. Inhibits peptidyl transferase
2. Causes misreading of mRNA
3. Causes termination of peptide chain elongation
4. Binds to A site and inhibits attachment of tRNA

Correct answer: 4. Binds to A site and inhibits attachment of tRNA

Explanation: Tetracyclines are bacteriostatic antibiotics. It inhibits protein synthesis by binding to 30S ribosomal subunit, and prevents the attachment of aminoacyl tRNA to the mRNA - ribosome complex. As a result peptide chain fails to grow. Ref: Essentials of Medical Pharmacology, 5th Edition, Page 668-73